A patient presents with tachycardia, BP<100mm Hg systolic and postural hypotension. Diagnosis is -
1. Vasovagal attack
2. Diabetic neuropathy
3. Shy drager syndrome
4. Bleeding peptic ulcer

Correct answer: 4. Bleeding peptic ulcer